U shaped dose response curve is seen in
1. Vitamins
2. Anti cancer drugs
3. Steroids
4. Chelators

Correct answer: 1. Vitamins

Explanation: U shaped response curve is seen in vitamins Ref-Goodman and Gillman 12/e p74